Not a contributing factors for ANUG
1. Pericoronal flap
2. Poor oral hygiene
3. Smoking
4. Apthous ulcers

Correct answer: 4. Apthous ulcers